Acute pyogenic osteomyelitis is caused by
1. Staph, aureus
2. Strepto. pneumonia
3. Pneumococcus
4. E. coli

Correct answer: 1. Staph, aureus

Explanation: i.e. (Staph.aureus): (157-J. Maheshwari 3rd) (27-Apley 8th)* Staph, aureus is the commonest causative organism in acute osteomyelitis* Staph, aureus is the commonest causative organism in septic arthritis* Commonest site is metaphysis. This is because of the peculiar arrangement of the blood vessels in that area, which leads to relative vascular stasis, favouring bacterial colonization